Transplacental crossing is not seen in –
1. Iso immune haemolytic anemia
2. Rh–haemolytic anemia
3. Toxoplasmosis
4. Toxic erythema

Correct answer: 4. Toxic erythema

Explanation: Toxic erythma is a normal finding in newborn.
In Rh incompatibility and ABO incompatibility antibodies can cross placenta and cause erythroblastosis fetalis.
Toxoplasmosis can cross placenta.